Tenesmus occurs in lesions of
1. Ileum
2. Right side of colon
3. Descending colon
4. Sigmoid colon

Correct answer: 4. Sigmoid colon